Antipsychotic drug induced Parkinsonism is treated by –
1. Anticholinergics
2. Levodopa
3. Selegiline
4. Amantadine

Correct answer: 1. Anticholinergics